Maximum permissible chloride level is -
1. 200 mg\/litre
2. 300 mg\/litre
3. 500 mg\/litre
4. 600 mg\/litre

Correct answer: 4. 600 mg\/litre

Explanation: Park's textbook of preventive and social medicine 23rd edition. *The standard prescribed for chloride is 200 mg/l,the maximum permissible level is 600mg/l.